All of the following are included in grievous injury/ hurt except -
1. Loss of testis
2. Loss of eye
3. Loss of kidney
4. Abrasion of the face

Correct answer: 4. Abrasion of the face

Explanation: Loss of testis (castration), loss of eye and loss of organ (kidney) are grievous injuries.